Copper containing enzyme is ?
1. Cytochrome oxidase
2. Catalase
3. LDH
4. None

Correct answer: 1. Cytochrome oxidase

Explanation: Ans. is 'a' i.e., Cytochrome oxidase Copper containing enzymes are cytochrome oxidase, tyrosinase, lysyl oxidase, ferroxidase (ceruloplasmin), Ascorbic acid oxidase, and superoxide dismutase.